Motor cyclists fracture is:
1. Ring fracture
2. Comminuted fracture of the vault
3. Skull base divided into two halves
4. Gutter fracture

Correct answer: 3. Skull base divided into two halves

Explanation: Ans. Skull base divided into two halves